Which of the following is/are true about autosomal dominant polycystic kidney disease except:
1. Many patients may be asymptomatic till 3rd or 4th decade
2. Pancreatic cyst
3. Associated with hypertension
4. Subarachnoid haemorrhage is most common extra renal complication

Correct answer: 4. Subarachnoid haemorrhage is most common extra renal complication

Explanation: Answer- D. Subarachnoid haemorrhage is most common extra renal complicationADPKD is characterized by the progressive bilateral formation of renal crisis.Inheritance- autosomal dominantCharacterized by multiple expanding cysts of both kidneys.In gross appearance, the kidneys are bilaterally enlarged.The pain may result from renal cyst infection, haemorrhage, or nephrolithiasis.'Intravenous urography polycystic kidney disease: The spider legs, deformity of the calycesFocal renal cysts are typically detected in affected subjects before 30 years of age.Complications-Hematuria, flank pain, urinary tract infection, renal stones, hypertension